The structures passing posterior to diaphragm are all except:
1. Aorta
2. Azygous vein
3. Thoracic duct
4. Greater splanchnic nerve

Correct answer: 4. Greater splanchnic nerve

Explanation: D i.e. Greater splanchnic nerve